Type B adverse drug reaction -
1. Augmented effect of drug
2. Unpredictable Bizzare reaction
3. Effect seen on chronic use of drug
4. Delayed effect of drug

Correct answer: 2. Unpredictable Bizzare reaction

Explanation: Ans. is 'b' i.e., Unpredictable Bizzare reaction Types of adverse drug reaction Types A (Augmented) reaction. Types B (Bizzare) reaction Types C (Chronic) reaction Types D (Delayed) effects Types E (Ending of use) reaction